A child has cyanotic disease with left ventricular enlargement wiht left axis deviation. Probable diagnosis is
1. TOF
2. TA PVC
3. Double outlet right ventricle
4. Tricuspid atresia

Correct answer: 4. Tricuspid atresia